A young 23-year-old black African man presents with a hyphema in the right eye after blunt injury. All of the following are acceptable initial treatments except?
1. Sleep with the head elevate
2. Prednisolone steroid eye drops
3. Cyclopentolate dilating drops
4. Carbonic anhydrase inhibitor pressure drops

Correct answer: 4. Carbonic anhydrase inhibitor pressure drops

Explanation: Carbonic anhydrase inhibitor pressure drops - For patients with hyphema (blood in the eye) advise them to avoid straining and sleep with their heads elevated to allow the blood to settle. - Use steroids to decrease the inflammation and a medium-acting cycloplegic to dilate the eye for comfort and to keep the inflamed iris from "sticking" to the lens underneath. - If the pressure is high, you can use pressure drops, but we avoid CAIs in African Americans as it induces RBC sickling in sickle-cell patients. You can get a sickle prep if you are suspicious for this disease